Which of the following is the weakest phase in amalgam reaction?
1. The voids phase
2. The trace element phase
3. The mercury phase
4. The interphase

Correct answer: 3. The mercury phase

Explanation: The mercury phase is the weakest phase in the product mass, and when it exceeds a certain volume limit, there will be a drastic drop in the strength and hardness properties of amalgam, in addition to increase in flow and creep of the restoration.
Reference: Marzouk Operative dentistry, pg-106